Characteristic features of a lesion in the lateral part of the medulla include all except
1. Ipsilateral Homer's syndrome
2. Contralateral loss of proprioception to the body and limbs
3. Nystagmus
4. Dysphagia

Correct answer: 2. Contralateral loss of proprioception to the body and limbs

Explanation: Ans. is 'b' i.e., Contralateral loss of proprioception to the body and limbs